Least commonly effected nodes site in arterial thromboembolism is?
1. Liver
2. Kidney
3. Heart
4. Brain

Correct answer: 1. Liver

Explanation: Least commonly affected is liver as it consists of sinusoids and The liver is supplied by two main blood vessels on its right lobe: the hepatic artery and the portal vein. The portal vein brings venous blood from the spleen, pancreas, and small intestine so that the liver can process the nutrients and byproducts of food digestion Ref Davidson 23rd edition pg 443